Which among the following is not a cause of fasting hypoglycemia?
1. Glucagon excess
2. Glucose 6 phospatase deficiency
3. Uremia
4. Glycogen synthase deficiency

Correct answer: 1. Glucagon excess

Explanation: A i.e. Glucagon excessGlucagon lit hyperglycemia as it inhibits glycolysis and stimulates gluconeogenesis.Glucose 6 phosphatase deficiency (Type Ia/Von Gierke's disease), glycogen synthase deficiency (Type 0 glycogen storage diseae), liver & muscle debranching enzyme deficiency (limit dextrinosis), liver & muscle phosphorylase deficiency and liver phosphorylase kinase deficiency - cause fasting hypoglycemia.Hypoglycemia in uremia suggest multiorgan involvement.